Most common trisomy among following is :
1. 18
2. 21
3. 13
4. 5

Correct answer: 2. 21

Explanation: Answer is B (Trisomy 21) : The most common abnormalities of chromosome number are `trisomies' - Nelson The most frequent and best known trisomy in humans is trisomy 21 or Down's syndrome. - Nelson This is the commonest chromosomal disorder occurring with a frequency of 1:800 to 1:1000 new borns. Down syndrome occurs more often in offspring of mothers conceiving at older age.